A 30 year old female developed diffuse hair loss 3 months after delivery of her first child. The probable diagnosis is –
1. Androgenic alopecia
2. Endocrinal alopecia
3. Telogen effluvium
4. SLE

Correct answer: 3. Telogen effluvium